Effective dose in radiation at 1 m is 4 Gy; at 4 m it will be:
1. 0.25
2. 0.5
3. 2
4. 4

Correct answer: 1. 0.25

Explanation: Intensity of an X-ray beam is inversely proportional to the square of the distance between the source and the point of measure. When the distance from the focal spot is doubled, the intensity of the beam decreases to one quarter.